20 years old girl Nelu enjoys wearing male clothes. Wearing male clothes gives her feeling of more confidence and after these episodes, she is an absolutely normal girl. The likely diagnosis is -
1. Trans sexualism
2. Fetishism
3. Dual role transvestism
4. Fetishistic transvestism

Correct answer: 3. Dual role transvestism

Explanation: Wearing clothes of the opposite sex with a feeling of more confidence suggests the diagnosis of dual-role transvestism.
In transsexualism, there is a strong desire to get rid of one's genitals and secondary sex characteristics.
In fetishism (Fetishistic transvestism) the person wears the clothes of the opposite sex for the purpose of sexual excitement.